Chemotherapy for dysgerminoma is:
1. Cisplatin, etoposide, bleomycin
2. Cyclophophamide, vincristine, prednisolone
3. Adriamycin, cyclophophamide, cisplatin
4. Methotrexate, oncovin, cyclophosphamide

Correct answer: 1. Cisplatin, etoposide, bleomycin

Explanation: Management of Dysgerminoma:
• The treatment of early dysgerminoma.
Surgical – including resection of the primary lesion (unilateral oophorectomy) and proper surgical dissection.
• Metastatic Disease – Chemotherapy or Radiation therapy.
Chemotherapy:
The most frequently used chemotherapy regimens for germ cell tumors are:
• BEP – Bleomycin, Etoposide, Cisplatin
• VBP – Vinblastin, Bleomycin, Cisplatin
• VAC – Vincristine, Actinomycin, Cyclophosphamide
Results suggest that patients with advanced stage, incompletely resected dysgerminoma have an excellent prognosis when treated with cisplatin based combination chemotherapy. The best regimen is 4 cycles of BEP.